Right sided vocal cord palsy seen in:
1. Larynx carcinoma
2. Aoic aneurysm
3. Mediastinal lymphadenopathy
4. Right vocal nodule

Correct answer: 1. Larynx carcinoma

Explanation: Lt RLN.: Arises from vagus in the mediastinum at the level of arch of aoa loops around it and then ascends into the neck. Rt. RLN: Arises from vagus at the level of subclan aery, hooks around it and then ascends up. So, any mediastinal causes viz mediastinal lymphadenopathy and aoic aneurysm would parlyse Lt. RLN. only Vocal nodule does not cause vocal cord palsy. Laryngeal carcinoma especially glottic can cause U/L or B/L Vocal Cord paralysis - Conn's Current Theory